Which of the following is the feature of aphthous ulcer?
1. Recurrent
2. Benign reactive
3. Malignant
4. None

Correct answer: 1. Recurrent

Explanation: Ans. is 'a' i.e., Recurrent * Aphthous ulcers are small ulcer craters in the lining of mouth that are frequently painful and sensitive.* Exact etiology is not known; it may be autoimmune process, nutritional deficiency (vitamin B12, folic acid, iron), viral or bacterial infection, food allergies or due to hormonal changes or stress.* Aphthous ulcers typically starts in childhood or adolescence.* Characterized by recurrent, small, round or oval ulcers with circumscribed margins, erythematous haloes, and yellow or gray floor.* They resolved spontaneously in third decade.* The lesion may be single or multiple and usually involve movable mucosa, i.e., inner surface of lips, buccal mucosa, tongue, floor of mouth and soft palate, while sparing mucosa of hard palate and gingivae.* In the minor form, which is more common, ulcers are 2-10 mm in size and multiple with a central necrotic area and a red halo. They heal in about 2 weeks without leaving a scar.* In the major form, ulcer is very big, 2-4 cm in size and heals with a scar but is soon followed by another ulcer.* Treatment: - If lesions do not resolve spontaneously, topical steroid and cauterization of base with 10% silver nitrate can be tried. In severe cases tetracycline mouth rinse can be given. For pain lignocaine viscous may be used.* Aphthous ulcers are not pre-malignant.